Torsades de pointes causes?
1. EideQRS
2. Short QRS
3. Wide QT
4. Short QT

Correct answer: 3. Wide QT

Explanation: Wide or long QT interval is seen with it. Torsades de pointes is a specific form of polymorphic ventricular tachycardia in patients with a long QT interval. It is characterized by rapid, irregular QRS complexes, which appear to be twisting around the electrocardiogram (ECG) baseline. Reference: Harrison 20th edition pg 1554